Riga fede disease is the ulceration seen on
1. Attached gingiva
2. Buccal mucosa
3. Lower Lip
4. Tongue

Correct answer: 4. Tongue